Free fatty acids are transported by :
1. Ceruloplasmin
2. Pre-albumin
3. Albumin
4. Transthyretin

Correct answer: 3. Albumin

Explanation: Free fatty acids are transported in the blood bound to albumin, a serum protein secreted by the liver. Most other lipids are transported in the blood as part of complex particles called lipoproteins.Lipoproteins differ in the ratio of protein to lipids, and in the particular apoproteins and lipids that they contain. They are classified based on their density:Chylomicron (largest; lowest in density due to high lipid/protein ratio; highest in triacylglycerols as % of weight)VLDL (very low density lipoprotein; 2nd highest in triacylglycerols as % of weight) IDL (intermediate density lipoprotein)LDL (low density lipoprotein, highest in cholesteryl esters as % of weight)HDL (high density lipoprotein, highest in density due to high protein/lipid ratio).